Sensitivity is:
1. True positive/True positive + false negative
2. Truerositive/False positive + true negative
3. True negative/True negative + false positive
4. True negative/False negative + true positive

Correct answer: 1. True positive/True positive + false negative

Explanation: True positive/True positive + false negative